Enzymatic degradation of chromatin by endonucleases is referred to as:
1. Karyolysis
2. Pyknosis
3. Karyorrhexis
4. None of the above

Correct answer: 1. Karyolysis

Explanation: During necrosis, nuclear changes appear in one of three patterns, all due to nonspecific breakdown of DNA. Karyolysis (dissolution)-complete dissolution of the chromatin of a dying cell due to enzymatic degradation by endonucleases. Pyknosis (condensation)-irreversible condensation of chromatin in the nucleus of the cell undergoing necrosis or apoptosis. characterized by nuclear shrinkage and increased basophilia. Karyorrhexis (fragmentation)- destructive fragmentation of the nucleus of a dying cell whereby its chromatin is distributed irregularly throughout the cytoplasm.